2 yrs child weighing 6.7 Kg presents in the casualty with history of vomiting and diarrohea for last 2 days. On examination skin pinch over the anterior abdominal wall go quickly to its original position. Interpretation of skin-pinch test in this child will be:
1. No dehydration
2. Some dehydration
3. Sever dehydration
4. Skin pinch can not be evaluated in this child

Correct answer: 4. Skin pinch can not be evaluated in this child

Explanation: Skin pinch is less useful in infants or children with marasmus (wasting) or kwashiorkor (severe malnutrition with edema), or obese children. Ref: Kliegman, Behrman, Jenson, Stanton, (2007), Chapter 85, "Fluid and Electrolyte Treatment of Specific Disorders", In the book, "Nelson's Textbook of Pediatrics", Volume 1, 18th Edition, New Delhi, Page 317